Erythema nodosum is due to A/E:
1. Contraceptive pilles
2. Barbiturates
3. Penicillin
4. Sulphonamides

Correct answer: 2. Barbiturates

Explanation: B i.e. Barbiturates